The epithelium which has only keratin layer, no nuclei is:
1. Parakeratinized epithelium.
2. Nonkeratinized epithelium.
3. Orthokeratinized epithelium.
4. None of the Above.

Correct answer: 3. Orthokeratinized epithelium.

Explanation: Epithelium of Oral Mucosa